C.tetani is:
1. Aerobic, gram-positive, motile bacillus
2. An anaerobic, gram-negative, motile bacillus
3. An anaerobic, gram-positive, nonmotile bacillus
4. An anaerobic, gram-positive, motile bacillus

Correct answer: 4. An anaerobic, gram-positive, motile bacillus

Explanation: An anaerobic, gram-positive, motile bacillus